Most common cause of hyphema due to Blunt trauma
1. Minor arterial circle
2. Major arterial circle
3. Choroidal veins
4. Conjunctival vessels

Correct answer: 2. Major arterial circle

Explanation: Most common cause of hyphema due to Blunt trauma is Major arterial circle.